Platelet transfusion is not indicated in -
1. Dilutional Thrombocytopenia
2. Immunogenic Thrombocytopenia
3. Aplastic Anemia
4. DIC

Correct answer: 2. Immunogenic Thrombocytopenia